Virus responsible for non immune hydrops fetalis is
1. Cytomegalovirus
2. Herpes simplex virus
3. Hepatitis B virus
4. Parvovirus

Correct answer: 4. Parvovirus

Explanation: Hydrops is defined as the accumulation of extracellular fluid in tissues and serous cavities. Hydrops fetalis is more common because of non-immune reasons rather than Rh isoimmunization. Most common cause of non-immune hydrops is due to congenital heart block (cardiac causes) Most common infection causing non immune hydrops- Parvovirus B19 infections